Small fiber neuropathy presents as:
1. Burning pain
2. Tingling & Numbness
3. Foot drop
4. Twitching

Correct answer: 1. Burning pain

Explanation: Answer is A (Burning pain): Burning pain is a characteristic feature of small -fiber neuropathies Tingling and Numbness is a feature of large fiber neuropathies while foot drop & twitching are features of motor neuropathies Symptoms, Signs and Tests in Peripheral Neuropathy Type of Neuropathy Symptoms Signs Large fiber * Numbness * Decreased Vibration * Tingling * Decreased Joint-position sense * "Pins and needles" * Decreased Reflexes * Poor balance Small fiber * Pain: burning, shock-like, stabbing, prickling, shooting, lancinating * * Decreased Pin prick Decreased Temperature sensation * Allodynia Motor * Cramps * Reduced Strength * Weak grip * Reduced Reflexes * Footdrop * Twitching Autonomic * Decreased or increased sweating * Orthostasis * * Dry eyes, mouth, Erectile dysfunction * * Unequal pupil size Resting tachycardia * Gastroparesis/diarrhea * Faintness, light-headedness